Treatment of spreading streptococcal cellulitis is-
1. Erythromycin
2. Penicillin
3. Tetracycline
4. Chloramphenicol

Correct answer: 2. Penicillin